Root value of supinator jerk-
1. C3 C4
2. C4 C5
3. C5 C6
4. C8 T1

Correct answer: 3. C5 C6

Explanation: Ans. is 'c' i.e., C5 C6 ReflexRoot valueBiceps reflex (biceps jerk)C5 C6Supinator reflex (Supinator jerk)C5 C6Triceps reflex (Triceps jerk)C7 C8Knee jerkL3 L4Ankle jerkS1 s2